Which one of the following drug is not a non-opioid analgesic drug?
1. Meloxicam
2. Methadone
3. Nimesulide
4. Nabumetone

Correct answer: 2. Methadone

Explanation: Ans. is 'b' i.e., Methadone Meloxicam, Nimesulide and Nabumetone are NSAIDs. o NSAIDs are also called nonnarcotic, nonopioid or aspirin like analgesics. o Methadone is an opioid.